All the following ATT are given in pregnancy except :
1. Rifampicin
2. Ethambutol
3. NH
4. Streptomycin

Correct answer: 4. Streptomycin

Explanation: Streptomycin